Post spinal headache can be prevented by
1. Use of thinner needle
2. NSAIDs
3. Preanesthetic medication
4. Plenty of oral fluids

Correct answer: 1. Use of thinner needle

Explanation: The most important causative factor for spinal headache is needle size, so use of small gauge needle is the best method to prevent post spinal headache. There is no evidence that any duration of bed rest after lumbar puncture has a role in preventing headache. Improving hydration by increased fluids (either oral or intravenous) has not been shown to prevent headache after lumbar puncture Ref Robbins 9/e pg 234